Fibroblast Growth Factor mediates effect through which of the following receptor?
1. Tyrosine kinase
2. cAMP
3. cGMP
4. Ca2+

Correct answer: 1. Tyrosine kinase

Explanation: Fibroblast Growth Factor (FGF) contain more than 20 members. FGFs transduce signals through four tyrosine kinase receptors (FGFRs 1-4). FGF-1 binds to all receptors. FGFs contribute to wound healing responses, hematopoiesis, angiogenesis, development, and other processes through several functions. Ref: Robbins 8th edition Chapter 3.